Coarse pitting of nails is seen in?
1. Psorati carthiritis
2. Dermatitis herpetiformis
3. Bullous pemphigoid
4. Pemphigus vulgaris

Correct answer: 1. Psorati carthiritis

Explanation: Ans. (a) Psoratic arthiritisRef: Rook's 8/e, p 65.13